Ketone bodies utilized by conversion of
1. Succinyl CoA
2. Alpha keto glutaric acid 3
3. Acetoacetate to acetoacetyl CoA
4. Series of changes leads to pyruvate

Correct answer: 3. Acetoacetate to acetoacetyl CoA

Explanation: (C) Acetoacetate to ... # Ketone bodies (Acetoacetate and 3-Hydroxybutyrate) serve as a fuel for extrahepatic tissues> Liver forms ketone bodies but cannot utilize it.